Back spattering is -
1. The negative pressure in the barrel, sucking blood and tissues
2. Passive agent in sodomy
3. Gushing of blood from the exit gunshot wound
4. Gushing of blood due to arterial bleed

Correct answer: 1. The negative pressure in the barrel, sucking blood and tissues

Explanation: The synopsis of forensic medicine & toxicology ; dr k.s narayan reddy ;28th edition ;pg.no. 130 Back spattering is seen in case of contact shot where there is sucking in of blood ,hair,fragments of tissues & cloth fibers several cm. Back inside the barrel .